Material which can be used for root end filling:
1. Dieket
2. IRM
3. Super EBA
4. All of the above.

Correct answer: 4. All of the above.